Dentigerous cyst is associated with the following
1. Impacted 3rd molar
2. Impacted supernumerary tooth
3. Odontome
4. All the above

Correct answer: 4. All the above